In cotton industry, workers most commonly involved by pneumoconiosis are:
1. Weavers
2. Spinners
3. Growers
4. Tailors

Correct answer: 2. Spinners

Explanation: Ans. B i.e. Spinners